The antagonistic muscle to superior rectus is:
1. Inferior oblique
2. Inferior rectus
3. Superior oblique
4. Lateral rectus

Correct answer: 2. Inferior rectus